True about anaphylactoid reaction caused by NSAIDs-
1. Caused by all NSAIDs
2. COX-2 inhibitors are safe
3. Related to hypersensitivity reaction
4. Not related to inhibition of COX

Correct answer: 2. COX-2 inhibitors are safe

Explanation: Ans. is 'b' i.e., COX-2 inhibitors are safe